The effect of zinc oxide-eugenol on the pulp:
1. Is irritating
2. Encourages pulpal fibrosis
3. Is sedating
4. Has no effect

Correct answer: 3. Is sedating

Explanation: Temporary ZOE cements, including eugenol-free cement, are excellent for luting provisional acrylic crowns and fixed partial dentures. Temporary ZOE restorations are expected to last a few weeks at most. They seal the dentinal tubules surprisingly well against the ingress of oral fluids and have a sedative effect on the pulp.  Hence, irritation caused by microleakage is minimized and these cements are suitable for temporary restorative treatment while the pulp heals or until a longer-lasting restoration can be fabricated  and cemented.
Reference: PHILLIPS’ SCIENCE OF DENTAL MATERIALS, 12th ed page no 331